SLE mitral and tricuspid valve vegetations are -
1. Salmon patch
2. Libman sacs disease
3. Janeway lesions
4. Osiers nodes

Correct answer: 2. Libman sacs disease

Explanation: Ans. is 'b' i.e., Libmann sach's disease Endocarditis of Systemic Lupus Erythematosus (Libman-Sach's Disease)o Mitral and tricuspid valvulitis with small, sterile vegetations, called Libman-Sach's endocarditis, is occasionally encountered in systemic lupus erythematosus,o Due to the use of steriods, the incidence of this complication has been greatly reduced.o The lesions are small (1 to 4 mm in diameter), single or multiple, sterile, pink vegetations with a warty (verrucous) appearance located on the undersurfaces of the atrioventricular valves, on the valvuar endocardium, on the chords, or on the mural endocardium of atria or ventricles.